Features of vernal keratitis are:
1. Papillary hypertrophy
2. Follicular hypertrophy
3. Herbert's pits
4. All

Correct answer: 1. Papillary hypertrophy

Explanation: A i.e. Papillary hypertrophy